Cylindrical dilatation of renal tubules is seen in -
1. Polycystic disease of kidney
2. Medullary cystic disease
3. Wilms tumour
4. Lipoid nephrosis

Correct answer: 1. Polycystic disease of kidney